In which of the following conditions Parakeratosis most frequently occurs –
1. Actinic keratoses
2. Seborrheic keratoses
3. Molluscum contagiosum
4. Basal cell carcinoma

Correct answer: 1. Actinic keratoses

Explanation: Normally, nuclei disappear in stratum corneum. Retention of nuclei within the cells of stratum corneum is referred to as parakeratosis.
Parakeratosis is seen in -


Normally        →  Mucous membrane of mouth and vagina.
Disorders       → Actinic keratosis, Psoriasis, Squamous cell carcinoma, Seborrheic dermatitis, Eczema. Don't get confused with option b; It is seborrheic keratosis, not seborrheic dermatitis. Seborrheic keratosis (also known as senile wart) is a noncancerous benign growth that originates in keratinocytes, seen in old people.